Preferred technique to aneasthesize while taking a biopsy:
1. Nerve block
2. Infiltration
3. Field block.
4. Any of the above

Correct answer: 1. Nerve block

Explanation: Nerve block is preferred over field block as LA may distrupt or damage cellular architecture.